Essential difference between serum and plasma is in content of
1. Protein
2. Sugar
3. Fat
4. RBC

Correct answer: 1. Protein

Explanation: Ans: a (Protein) Ref: Ganong 22nd edp.543Serum = Plasma - (fibrinogen, clotting factors II, V, VIII).Serum has higher serotonin content because of breakdown of platelets during clotting.Normal plasma volume is about 5% of body weight, -3500 ml in 70 kg man.